Smallest unit of genetic expression
1. Gene
2. Cistrone
3. Codon
4. Genetic code

Correct answer: 2. Cistrone

Explanation: Ans. is 'b' i.e., Cistrone Gene :- It is the smallest functional unit of genome. Gene is the unit of DNA that carries the information for synthesis of specific protein. Cistron:- It is smallest unit of genetic expression. It is the basic genetic unit coding for one polypeptide chain, i.e., a subunit of a complete protein molecule. It is regarded as one cistron-one subunit concept. Prokaryotic mRNA is polycistronic, i.e. each mRNA has several coding region. Eukaryotic mRNA is monocistronic, i.e. each mRNA has single coding region. Smallest functional unit of genome - gene, codes for a specific protein. Smallest unit of genetic expression - cistron, (codes for the subunit of protein, i.e. one polypeptide chain).